Smallpox vaccine was introduced by:
1. Paul Ehrlich
2. Robert Koch
3. Louis Pasteur
4. Edward Jenner

Correct answer: 4. Edward Jenner

Explanation: Ans. (d) Edward Jenner* Edward Jenner discovered Smallpox vaccine in 1796- Smallpox vaccine was the 'First Vaccine' to be dis- covered- Smallpox is the 'First and Only' disease to be eradicated - Term 'Vaccination' was coined by Edward JennerALSO REMEMBER* Paul Ehrlich coined terms 'Chemotherapy' and 'Auto-immunity' and giving 'Magic Bullet for Syphilis- Salvarsan'